Purpose of sentinel surveillance is
1. To know total number of cases
2. Health planning
3. Prevention of disease
4. To know natural history of disease

Correct answer: 1. To know total number of cases

Explanation: A method for identifying the missing cases and there by supplementing the notified cases is required. This is known as sentinel surveillance. The sentinel data is extrapolated to entire population to estimate the disease prevalence in entire population